Joint not involved in osteoarthritis -
1. PIP
2. DIP
3. MCP
4. Knee

Correct answer: 3. MCP

Explanation: Ans. is 'c' i.e., MCP Joint involvement in OAo Common joints : Knee, Hip, Spine (cervical, lumbosacral), Hand (PIP, DIP, first carpometacarpal), first tarso-metatarsal.o Uncommon joint: Shouldero Spared: Wrist, elbow, ankle, metacarpophalangeal.